Most microorganisms pathogenic for humans grow best in the laboratory when cultures are incubated at
1. 15-20degC
2. 20-30degC
3. 30-37degC
4. 38-50degC

Correct answer: 3. 30-37degC

Explanation: Most human pathogens are neutralophiles (grow best at pH of 6.0-8.0) and mesophilic (grow best at 30-37degC).Ref: Jawetz; 27th edition; Page no: 78